Carriers of Salmonella typhi can be detected by ?
1. Widal test
2. Blood culture
3. Sputum culture
4. Culture of feces

Correct answer: 4. Culture of feces

Explanation: Ans. is 'd' i.e., Culture of feces . Identification of fecal carriers is by isolation of the bacillus from feces or from bile. . Identification of urinary carriers is by isolation of the bacillus from urine.